Minimal interval between two live vaccines administered by the oral route is
1. Any time
2. 2 weeks
3. 4 weeks
4. 3 months

Correct answer: 1. Any time

Explanation: Live vaccines administered by the oral route (Oral Polio vaccine-OPV; oral typhoid and Rota virus) are not believed to interfere with each other if not given simultaneously. These vaccines may be given at any time before or after each other. Live parenteral (injected) vaccines and live intranasal influenza vaccine should either be administered at the same visit or they should be seperated by atleast 4 weeks. Ref: Ghai essentials 9th edition Pgno: 190